Fluorescin angiography is used to examine -
1. Ciliary vasculature
2. Retinal vasculature
3. Comeal vasculature
4. Conjuctival vasculature

Correct answer: 2. Retinal vasculature

Explanation: Ans. is 'b' i.e., Retinal vasculatureo Fluorescein angiography is a radiological examination of retinal vasculature after the administration of a fluorescein dye.